a-Fetoprotein is increased in all the following except :
1. Increased maternal weight
2. Multiple gestation
3. Maternal hepatoma
4. Abdominal wall defect

Correct answer: 1. Increased maternal weight

Explanation: Increased maternal weight